All of the following are transcription factors activated by signal transduction pathways of hypertrophy, except:
1. GATA4
2. NFAT
3. MEF2
4. MLL1

Correct answer: 4. MLL1

Explanation: - Signaling pathways which trigger hypertrophy activate a set of transcription factors such as:- GATA4 Nuclear factor of activated T-cells (NFAT) Myocyte enhancer factor-2 (MEF2). These transcription factors work in coordination to increase the synthesis of muscle proteins that are responsible for hypertrophy. - MLL1 (Mixed lineage leukemia protein-1) is a gene involved in acute leukemia.